The organism causing destruction of skin grafts is -
1. Streptococcus
2. Staphylococcus
3. Pseudomonas
4. Clostridium

Correct answer: 1. Streptococcus